Percussion,palpation,and thermal testing
1. are not to be  performed on patients with pacemakers.
2. should involve testing  of contralateral  teeth for comparison.
3. are  best compared when using ipsilateral teeth.
4. obviate radiographs.

Correct answer: 2. should involve testing  of contralateral  teeth for comparison.